Babesiosis is transmitted by -
1. Tick
2. Mites
3. Flea
4. Mosquito

Correct answer: 1. Tick

Explanation: Ans. is 'a' i.e., Tick Babesiao Babesiosis is a protozoan disease caused by two species of Babesia : Babesia microti and Babesia divergens.o It is transmitted by loxdid tick.o Babesia infects the RBCs and resides inside the RBCs ( intraerythrocytic). Intraery throcytic infection of Babesiosis is characterised by maltese cross. Maltese cross is a characteristic arrangement of parasites within the erythrocytes - Parasites within erythrocytes are arranged such that pointed ends of four parasites come in contact thereby giving a tetrad configuration resembling a maltese cross. Tetrad forms or 'Maltese cross' appearance is considered pathognomic of Babesiosis.o Clinically Babesiosis presents with chills, fever, mild hepatosplenomegaly, and mild hemolytic anemia,o Treatment includes Atovaquone plus azithromycin or quinine plus clindamycin.o Babesiosis can easily be confused with P. falciparum malaria.Following two features distinguish Babesiosis from malariaPresence of maltese cross in Babesiosis (absent in malaria)Absence of pigment Hemozoin in Babesiosis (present in malaria)Note - Maltese cross is also seen in cryptococcus and aspergillus.